Which one of the following imaging modalities is most sensitive for localization of extra adrenal pheochromocytoma?
1. USG
2. DOPA-PET
3. MRI
4. MIBG scan

Correct answer: 2. DOPA-PET

Explanation: Ans. B. DOPA-PETPheochromocytoma* MRI has been the primary method of diagnosis for adrenal pheochromocytoma which shows light bulb appearance on a T2 weighted MRI. MIBG scanning can play a complementary role in evaluating intra adrenal pheochromocytoma.* It is 80-90% sensitive for adrenal one. MIBG scintigraphy is extremely valuable in imaging of extra adrenal and recurrent pheochromocytoma. MIBG is a precursor of catecholamines and therefore, is actively taken up in catecholamines producing tissues, recently introduction of F-DOPA PET has markedly increased the diagnostic accuracy of imaging investigation for localization of both intra as well as extra adrenal pheochromocytoma.